Oedipus and Electra complex can be seen in which stage:
1. Anal stage.
2. Phallic stage.
3. Latency stage.
4. Genital stage.

Correct answer: 2. Phallic stage.

Explanation: Phallic stage (3-5 yrs) 
• Child develops attraction towards opposite sex parent. It is called as Oedipus complex in boys and electra complex in girls.